Extramammary paget’s is seen in
1. Uterus
2. Vulva
3. Vagina
4. Ovary

Correct answer: 2. Vulva

Explanation: Ref. Robbins Pathology. 9th edition. Page. 999
Extramammary Paget's disease (EMPD), also extramammary Paget disease, is a rare, slow-growing,  usually noninvasive intraepithelial (in the skin) adenocarcinoma outside the mammary gland and  includes Paget's disease of the vulva and the extremely rare Paget's disease of the penis.